Percentage of glutaraldehyde used ?
1. 1%
2. 2%
3. 3%
4. 4%

Correct answer: 2. 2%

Explanation: Ans. is 'b' i.e., 2% 2% Glutaradehyde (cidex) is an aldehyde disinfectant with a broad spectrum of action against bacteria, fungi, viruses, as well as spores (slow action).